Which of the following arteries is a direct branch of the gastroduodenal artery
1. Right gastric artery
2. Left gastric artery
3. Inferior pancreaticoduodenal artery
4. Right gastroepiploic artery

Correct answer: 4. Right gastroepiploic artery

Explanation: * Common hepatic artery divides into: Proper hepatic artery Gastro-duodenal artery * Gastroduodenal artery further divides into: Right gastroepiploic/gastro-omental artery Superior pancreaticoduodenal artery * Right gastroepiploic artery anastomose with left gastroepiploic artery (branch of splenic artery) at greater curvature of stomach. * Inferior pancreaticoduodenal artery (branch of Superior mesentric artery) anastomose with superior pancreaticoduodenal artery at Head of pancreas